A young basketball player with ht 188 cm and arm span 197 cm has a diastolic murmur best heard in second right intercostal space: likely cause of murmur is:
1. AS
2. Coarctation of aorta
3. AR
4. MR

Correct answer: 3. AR

Explanation: Answer is C (A.R.) A diastolic murmur in second right intercostals space in a patient of Marfan's syndrome suggests a diagnosis of Aortic Regurgitation.